Which of the following is an example of learned tolerance?
1. avoiding alcohol when feeling unsteady
2. drinking alcohol only with food
3. walking a straight line when intoxicated
4. not driving when drunk

Correct answer: 3. walking a straight line when intoxicated

Explanation: Learned tolerance refers to the reduction of the effect of a drug due to compensatory mechanisms that are learned. An example is walking a straight line despite the motor impairment caused by alcohol. This likely represents both acquisition of motor skills and the learned awareness of one's deficit; thus the person walks more carefully.